Which of the following is not associated with complex tongue thrusting activity?
1. Poor occlusion
2. Contraction of the temporalis muscle
3. Contraction of the mentalis and lower lip during swallow
4. Absence of contact of teeth during swallow

Correct answer: 2. Contraction of the temporalis muscle

Explanation: Complex tongue thrust
The following features are seen:
a. This kind of tongue thrust is characterized by a teeth apart swallow.
b. The anterior open bite can be diffuse or absent.
c. Absence of temporal muscle constriction during swallowing.
d. Contraction of the circumoral muscles during swallowing.
e. The occlusion of teeth may be poor